Clinical features of nasopharyngeal angiogibroma are -a) 3rd to 4th decadesb) Adolescent malec) Epistaxis and nasal obstruction are the cardinal symptomd) Radiotherapy is the Rx of choicee) Arises from posterior nasal cavity
1. bce
2. bc
3. acd
4. ace

Correct answer: 1. bce

Explanation: NFA occurs in adolescent males.
Nasal obstruction and epistaxis are the most common presenting symptoms.
It arises in the posterior part of nasal cavity near the sphenopalatine foramen.
Treatment of choice is surgery.